Typical coloboma of iris occurs:
1. Inferonasally
2. Superonasally
3. Inferotemporally
4. Superotemporally

Correct answer: 1. Inferonasally

Explanation: Ans. Inferonasally